\r\nWhat is the ICRP (International Commission on Radiological Protection) recommended genetic dose of radiation exposure for general population?
1. 5 rems over a period of 30 years
2. 30 rems over a period of 30 years
3. 5 rems over a period of 5 years
4. 30 rems over a period of 5 years

Correct answer: 1. 5 rems over a period of 30 years

Explanation: ICRP recommends that genetic dose to population should not exceed 5 rems over a period of 30 years. Ref: Park's textbook of Preventive and Social Medicine, 21st edition, page-687